Concerns while using mifepristone for treatment of uterine fibroid are all except
1. Endometrial hyperplasia
2. Vasomotor symptoms
3. Early pregnancy termination
4. Hirsutism

Correct answer: 4. Hirsutism

Explanation: Hirsutism is not a side effect of Mifepristone.